Which antifungal drug is an anti-metabolite?
1. Ketoconazole
2. Flucytosine
3. Terbinafine
4. Griseofulvin

Correct answer: 2. Flucytosine

Explanation: Flucytosine